A 60-year-old man with unstable angina is treated with an intravenously administered glycoprotein IIb-IIIa inhibitor. The mechanism of action of this agent is the ability to
1. Dilate coronary arteries.
2. Inhibit atherogenesis.
3. Inhibit platelet adhesion.
4. Inhibit platelet aggregation.

Correct answer: 4. Inhibit platelet aggregation.

Explanation: Glycoprotein IIb-IIIa inhibitors Prevent the action of the platelet surface receptor glycoprotein complex, which is required for formation of fibrinogen bridges between adjacent platelets Thus inhibiting platelet aggregation. Ex- TICLOPIDINE,CLOPIDOGREL,PRASUGREL